With respect to fetal breathing movements, which of the following is not true?
1. May cause respiratory distress syndrome
2. Causes aspiration of amniotic fluid
3. Increase towards term
4. Help in conditioning of respiratory muscles

Correct answer: 1. May cause respiratory distress syndrome

Explanation: Ans. a. May cause respiratory distress syndrome (Ref: www.ncbi.nlm.nih.gov/pubmed/7395937)Breathing movements are inversely proportional to risk of respiratory distress. It doesn't cause respiratory distress.Fetal Breathing Movements:Aspiration of amniotic fluid is higher with breathingBreathing movements increase towards term, become more regularHelp in conditioning of respiratory musclesAspiration of amniotic fluid is higher with breathingBreathing movements increase towards term, become more regularDecreases just before onset of labour or at 39 weeks or during labor or in prematurityHelp in conditioning of respiratory musclesBreathing movements are inversely proportional to risk of respiratory distress